Most common cause of glomerulonephritis is?
1. Berger disease
2. Acute Glomerulonephritis
3. Chronic glomerulonephritis
4. Focal segmental Glomerulosclerosis

Correct answer: 1. Berger disease

Explanation: Most common cause of glomerulonephritis is Berger disease. Focal segmental glomerulosclerosis is most common cause of nephrotic syndrome.